All are pharmacogenetic conditions except:
1. Adenosine deaminase deficiency
2. Malignant hyperthermia
3. Coumarin insensitivity
4. G–6–PD deficiency

Correct answer: 1. Adenosine deaminase deficiency